The normal cellular counterparts of oncogenes are important for the following functions, except
1. Promotion of cell cycle progression
2. Promotion of DNA repair
3. Inhibition of apoptosis
4. Promotion of nuclear transcription

Correct answer: 2. Promotion of DNA repair

Explanation: The normal cellular counterpart of oncogene is known as proto-oncogene. Proto-oncogenes are important for cellular function related to growth and proliferation. Proteins encoded by these genes may function as growth factor ligands and receptors, signal transducers, transcription factors and cell cycle components.
Chial writes that ‘proto-oncogenes encode proteins that function to stimulate cell division, inhibit cell differentiation, and halt cell death. All of these processes are important for normal human development and for the maintenance of
tissues and organs. Oncogenes, however, typically exhibit increased production of these proteins, thus leading to increased cell division, decreased cell differentiation, and inhibition of cell death’. So, we can say that ‘These genes may
also inhibit apoptosis’.
Promotion of DNA repair is the function of tumor suppressor genes. Promotion of DNA repair is protective from oncogenesis and is not the function of proto-oncogenes.